True about a negatively skewed data
1. Mode is Less than median
2. Mode is More than median
3. Mode is equal to median
4. No correlation

Correct answer: 2. Mode is More than median

Explanation: A left skewed distribution or negatively skewed distribution because it's long tail is in the negative direction on a number line. The mean is to the left of the peak.(mode) The tail is longer on the left. In most cases, the mean is to the left of the median. mean < median < mode